Fluoroquinolones act on -
1. DNA histone proteins
2. DNA gyrase
3. Camp
4. mRNA polymerise

Correct answer: 2. DNA gyrase

Explanation: Ans. is 'b' i.e., DNA gyrase o Fluoroquinolones (including ciprofloxacin) inhibit DNA gyrase and topoisomerase IV. For gram negative bacteria, the primary target is DNA gyrase, while topoisomerase IV is inhibited in gram positive bacteria.